The current treatment of choice for a large antrochoanal polyp in a 10-year-old is:
1. Intranasal polypectomy
2. Caldwell-Luc operation
3. FESS
4. Lateral rhinotomy and excision

Correct answer: 3. FESS

Explanation: (c) FESS(Ref. Cummings, 6th ed., 760)Antrochoanal polyp arise from the maxillary antrum and grow into the nasopharynx, hence they are always large at presentation and management is excision by FESS.